ECT is absolutely contraindicated in
1. Raised ICT
2. Heart disease
3. Pregnancy
4. Very will patients

Correct answer: 1. Raised ICT

Explanation: (A) Raised ICT # ECT is treatment of choice in severe depression.# indication of ECT in depression are:> Depression with suicidal risk> Severe refractory depression> Delusional depression> Depression with significant antidepressant side effects.> The response is rapid. Usually 6-8 ECTs are given three times a week along with antidepressants.# Contraindications of ECT:> The only absolute contraindication is the presence of raised intracranial tension.> Relative contraindications are: Recent myocardial infarction, Severe hypertension, Cerebrovascular accident, Severe pulmo iary disease, Retinal detachment, Pheochromocytoma.